All of the following statements about malignant melanoma are true except:a) prognosis is better in female than in male b) Acral lentiginous melanoma carries a good prognosisc) Stage II A shows satelite depositsd) Most common type is superficial spreading melanoma
1. a
2. c
3. ac
4. bc

Correct answer: 4. bc

Explanation: Acral lentignous melanoma has the worst prognosis
Satellite deposits are foci of tumor adajent but separate from the primary melanoma also k/a in-transit metastasis. In the original staging system, satellite deposits or lesions were classified as stage II ds.

Conventional staging of melanoma
Stage I → Primary tumor
Stage II → Presence of satellites or regional lymph nodes
Stage III → Spread beyond regional lymph nodes


But according to latest AJCC classification (2002) presence of satellite lesions is classified as stage III.

More facts about melanoma 

Most of the melanomas develop in benign nevus.
ABCD of melanoma - Lesions that are suspicions of melanoma can be identified by their clinical characteristic often referred to as ABCD.

ABCD of melanoma
Asymmetry : asymmetric shape or contour
Borders : irregular or illdefinied borders
Colour : colour variegation
Diameter : larger than 6 mm (some books say 5mm)